The commonest ocular infection associated with AIDS is:
1. Herpes zoster
2. Ctomegaloviruys
3. Toxoplasmosis
4. Tuberculosis

Correct answer: 2. Ctomegaloviruys

Explanation: Ans Ctomegaloviruys